Which of the following anti - hypertensives was once used as an antipsychotic?
1. Atenolol
2. Propranolol
3. Clonidine
4. Reserpine

Correct answer: 4. Reserpine

Explanation: Reserpine is an antihypertensive drug which was used as an antipsychotic. Antipsychotic effect of reserpine is due to depletion of 5 - HT or catecholamine or both.
Clonidine is also an antihypertensive. Its uses in psychiatry are - ADHD, opioid withdrawal, Tourette's syndrome and suppression of agitation in PTSD.